Tumor markers for primary hepatocellular carcinoma are all except
1. Alpha-feto protein
2. Alpha-2 macro globulin
3. PIVKA-2
4. Neurotensin

Correct answer: 2. Alpha-2 macro globulin

Explanation: Tumor markers PIVKA Des-gamma-carboxy prothrombin Glypican-3 AFP fractions (AFP-L3 is highly specific to HCC) Ref:Sabiston 20th edition Pgno :1458-1463